Which one of the following is not a part of the Revised Trauma score -
1. Glasgow coma scale
2. Systolic blood pressure
3. Pulse rate
4. Respiratory rate

Correct answer: 3. Pulse rate